The superficial external pudendal artery is a branch of ?
1. Femoral artery
2. External iliac artery
3. Internal iliac artery
4. Aorta

Correct answer: 1. Femoral artery

Explanation: Ans. is 'a' i.e., Femoral artery Femoral artery It is the main artery of the lower limb. It begins as a continuation of external iliac artery below the inguinal ligament at midinguinal point midway between pubic symphysis and anterior superior iliac spine. It descends through femoral triangle and then through adductor canal. After that it ends by passing through aductor hiatus in the adductor magnus muscle to continue as popliteal artery.Branches of femoral artery are :?A. In femoral triangleSuperficial branches :- (i) Superficial external pudendal, (ii) Superficial epigastric, (iii) Superficial circumflex iliac.Deep branches :- (i) Profunda femoris, (ii) Deep external pudendal, (iii) Muscular branches.B. In adductor canal Descending genicular artery.Profunda femoris artery is the largest branch of femoral artery and supplies all three compartments of thigh (anterior, medial and posterior). It arises from the lateral side of femoral artery about 4 cm below the inguinal ligament. The profunda femoris gives of following branches :Medial circumflex femoral :- Major supply to the head of femur.Lateral circumflex femoral.Four perforating arteries :- 2"d perforating artery gives nutrient artery to femur.